Ritter's disease is caused by
1. Bacillus anthracis
2. Streptococcus pneumoniae
3. Staphylococcus aureus
4. Pseudomonas auriginosa

Correct answer: 3. Staphylococcus aureus

Explanation: Exfoliative (Epidermolytic) toxin is responsible for the staphylococcal scalded skin syndrome. It is an exfoliative skin disease in which the outer layer of the epidermis gets separated from the underlying tissues. The severe form of SSSS syndrome is known as Ritter's disease in the newborn and toxic epidermal necrolysis in older patients. Milder forms are pemphigus neonatorum and bullous impetigo. Ref: Textbook of Microbiology; Ananthanarayanan and Panicker; 10th Edition; Page No: 204